Parkinsonism is characterised by all of the following characteristic features except :
1. Rigidity
2. Akinesia
3. Tremors at rest
4. Past pointing

Correct answer: 4. Past pointing

Explanation: Answer is D (Past pointing): Past pointing is a feature of 'Cerebellar disease'. It is not seen in an extrapyramidal syndrome. Other features mentioned are all true for Parkinsonism.